Which of the following is true about multiple sclerosis except
1. Nystagmus on abducting eye
2. Nystagmus on adducting eye
3. One and half syndrome
4. Pendular nystagmus

Correct answer: 2. Nystagmus on adducting eye

Explanation: . *Multiple sclerosis is characterised by prominent nystagmus which is observed in the abducting eye,along with a small skew deviation . *A bilateral internuclear ophthalmoplegia is particularly suggestive of MS *Other common gaze disturbances in MS include (1) horizontalgaze palsy (2)a "one and half"syndrome (3)acquired pendular nystagmus . Ref Harrison20th edition pg 2567